Clubbing is commonly seen in all of the following except:
1. Mesothelioma
2. Tropical eosinophilia
3. Bronchiectasis
4. Fibrosing alveolitis

Correct answer: 2. Tropical eosinophilia

Explanation: Ans. B: Tropical eosinophiliaABCDEF for Lung-related causes of clubbing: Abcess (lung)Bronchiectasis (including CF)Cancer (lung)Decreased oxygen (hypoxia)EmpyaemaFibrosing alveolitis